The following statements about meningococcal meningitis are true except
1. The source of infection is mainly clinical case
2. The disease is more common in dry and cold months of the year
3. Chemoprophylaxis of close contacts of cases is recommended
4. The vaccine is not effective in children below 2 yrs of age

Correct answer: 1. The source of infection is mainly clinical case

Explanation: The human nasopharynx is the only reservoir of the Meningococcus. Asymptomatic nasopharyngeal carriers rarely contract the illness but serve to infect their contacts Transmission is essentially by airborne droplets or less often by fomites. So the best specimen to be collected for Neisseria meningitidis is nasopharyngeal swab. Reference: Textbook of Microbiology; Anathanarayan and panicker's; 10th edition; Page no: 232